The following open in the middle meatus of nose EXCEPT:
1. Maxillary sinus
2. Anterior ethmoidal sinus
3. Middle ethmoidal sinus
4. Posterior ethmoidal sinus

Correct answer: 4. Posterior ethmoidal sinus

Explanation: Ans. d (Posterior ethmoidal sinus). (Ref. BD Chaurasia, Human Anatomy- Vol. II, 3rd ed., 197)MeatusStructures opening in itFeatures of middle meatus of noseEthmoidal bullaHiatus semilunarisInfundibulumOpening of frontal air sinusOpening of maxillary air sinusOpening of middle ethmoidal air sinusSuperior meatusOpening of posterior ethmoidal air sinusInferior meatusOpening of naso-lacrimal duct guarded by Hasner's valve.